The nucleotide triplet CTC in the sixth position of the l3-chain in DNA forms the complementary nucleotide on (mRNA) that codes for glutamic acid. A point mutation on the l3-chain resulting in the nucleotide triplet CAC forms a complementary nucleotide on mRNA that codes for valine. In sickle cell anemia, you would expect the complementary nucleotide triplet on mRNA from 5' to 3' to read
1. GAG
2. CTC
3. GTG
4. GUG

Correct answer: 4. GUG

Explanation: Note that by changing the CTC triplet to a CAC, the messenger RNA (mRNA) changes from GAG, which normally codes for glutamic acid in the sixth position of the -chain of hemoglobin, to GUG, which now codes for valine. This point mutation of a single base pair is responsible for sickle cell anemia. Ref : Biochemistry by U. Satyanarayana 3rd edition Pgno : 202,203